One mg. of Niacin is produced by----mg. of Tryptophan –
1. 22
2. 37
3. 55
4. 60

Correct answer: 4. 60